Lucid interval is seen in :
1. Insanity
2. Malignant disease
3. Electrical shock
4. Syphilis

Correct answer: 1. Insanity

Explanation: A i.e. Insanity